Sullivan index
1. Measures disability
2. Measures life years adjusted with disability
3. Measures life expectancy adjusted without disability or free of disability
4. Measures life expectancy

Correct answer: 3. Measures life expectancy adjusted without disability or free of disability

Explanation: Sullivan index: Also called DFLE (disability-free life expectancy) : is the number of years an individual is expected to live free of disability, if current pattern of mortality and disability continue to apply. Ref : Park's Textbook of Preventive and Social Medicine; 23rd edition; Page 26